All of the following are true about Prerenal Azotemia, Except:
1. Urinary Cr/Plasma Cr >40
2. FENa < 1
3. Urinary output < 400m1/day
4. Plasma BUN/Creatinine ratio <20

Correct answer: 4. Plasma BUN/Creatinine ratio <20

Explanation: Answer is D (Plasma BUN/Creatinine ratio <20): Prereanl Azotemia is characterized by, Plasma BUN/creatinine ratio of>20: I Oliguria (urine output that cannot be used to differentiate Prerenal Azotemia from Intrinsic Renal failure (ATN) Urine output Decreased urine output represents oliguric renal failure and may be seen in both prerenal and renal azotemia. Ucr/Pcr >40; FENa < I and UNA < 20 meci/1 are features of Prerenal Azotemia that may be used to distinguish Prerenal Azotemia from Intrinsic Renal Azotemia.